Sensory supply of the palm is from which nerves -
1. Median nerve and Radial nerve
2. Radial nerve and ulnar nerve
3. Ulnar nerve and Median nerve
4. Musculocutaneous nerve and Radial nerve

Correct answer: 3. Ulnar nerve and Median nerve

Explanation: Ans. is'c'i.e., Ulnar nerve and Median nerve(Rel BDC 5'h/e VoL I p. 108-111)On Palm side:Lateral 2/3 of the palm and lateral three and half fibers - Median nerve.Medial 1/3 of the palm and medial one and half fingers - Ulnar nerve.